Deposition of Anti DS (Double stranded) DNA Ab in kidney, skin, choroid plexus and joints is seen in:
1. SLE
2. Goodpasture
3. Scleroderma
4. Raynaud's disease

Correct answer: 1. SLE

Explanation: Anti-DS DNA antibodies are found in 30-50% of SLE patients. Anti-ds DNA antibodies and Anti-smith (anti-sm) antibodies are highly specific and diagnostic features of SLE. Ref: Pathologic Basis of Disease, Robbins, 7th Edition, Page 229; Davidson's principles and practice of Medicine, 20th Edition, Chapter 25, Page 1132, 1133; Systemic Lupus Erythematosus, Volume 1, edited by Robert George Lahita, 4th Edition, Page 390.